All are seen in non-proliferative diabetic retinopathy except -
1. Microaneurysm
2. Neovascularization
3. Hard exudates
4. Macular edema

Correct answer: 2. Neovascularization

Explanation: Ans. is 'b' i.e., NeovascularizationClassification of Diabetic retinopathyNonproliferativeProliferativeBackground retinopathyo Microaneurysmo Dot and blot hemorrhage (deep hemorrhage)o Hard exudateo Macular edemaPreproliferative retinopathyo Cotton-wool spots (soft exudates)o Venous beadingo Extensive hemorrhageo Intraretinal intravascular abnormalities (IRMA)o Neovascularization of the disc (NVD)o Neovascularization elsewhere in the retina (NVE)o Vitreous hemorrhageo Fibrovascular proliferationo Traction retinal detachmento Iris surface neovascularization (rubeosis iridis or neovascular glaucoma)